Occult fracture of neck femur are best diagnosed by:
1. Bone Scan
2. MRI
3. X- Ray
4. CT scan

Correct answer: 2. MRI

Explanation: B i.e. MRI If the initial x - rays are normal but pain persists, the patient still should be examined for a suspected femoral neck fracture (occult fracture) T1 weighted MRI performed with in 24 hours is more sensitiveQ (100% sensitivity) than that of bone scan performed 72 hours after admission (93% sensitivity). Traditionally, bone scans has been thought to be unreliable before 48 - 72 hours after fracture. Because bone scans must be delayed for upto 72 hours in older patients with osteopenia to ensure accurate diagnosis; MRI is preferred to obtain an earlier diagnosis and shorten the hospital stay.